The fracture of the tooth bearing segment of the
mandible is
1. Simple
2. Complex
3. Compound
4. Comminuted

Correct answer: 3. Compound